Side effects of Pertussis vaccine include:
1. Local pain
2. Excessive cry
3. Fever
4. All of the above

Correct answer: 4. All of the above

Explanation: Adverse effects of Pertussis vaccination: - Minor A/E: pain, swelling and redness at the local site, mild fever, fussiness, anorexia and vomiting - Serious A/E: persistent crying (most common), fever > 40.5degC, hypotonic hyporesponsive episodes , seizures & encephalopathy. - Incidence of adverse effects - increases with number of doses adminstered - hence vaccine shouldnt be used beyond 5doses/ beyond 7yrs of age